Most common species of pseudomonas causing intravascular catheter related infections is?
1. P. cepacia
2. P. aeruginosa
3. P. maltophilia
4. P. mallei

Correct answer: 2. P. aeruginosa

Explanation: Most common species of pseudomonas associated with intravascular catheter is Pseudomonas Aeruginosa. Intravascular catheter related infections. Indwelling vascular catheters are a leading source of bloodstream infections. Amongst indwelling vascular catheters, central venous catheters are the most common culprits. It is one of the most troublesome agents causing nosocomial infections. Most common infection caused by Ps aeruginosa is suppurative otitis. It causes unfection in burns, eye infections & urinary infections. It is one of the agents responsible for iatrogenic meningitis following lumbar puncture. There are four potential sources for catheter related infections - The skin insertion site,the catheter hub, hematogenous seeding from a distant infection, contaminated infusate. Skin organisms migrate from the skin insertion site along the external surface of catheter, colonising the distal intravascular tip of the catheter, and ultimately causing bloodstream infection. On the other hand, in hub related infections, organisms are usually introduced into the hub from the hands of medical personnel and the organisms migrate along the internal surface of the catheter, where they can cause a bloodstream infection. Ref: Ananthanarayanan & Paniker's textbook of microbiology 8th ed pg 316.